All are T cell lymphomas, EXCEPT:
1. Lymphoplasmacytic lymphoma
2. Mycosis fungoides
3. Anaplastic large cell lymphoma
4. Aggressive NK cell leukemia

Correct answer: 1. Lymphoplasmacytic lymphoma

Explanation: Lymphoplasmacytic lymphoma is a B cell lymphoma, all others are T cell lymphomas. Ref:Harrisons principles of internal medicine 18th edition, Page: 920.